Ideal biologic solvent is
1. Water
2. Coconut oil
3. Ethyl alcohol
4. Liquified nitrogen

Correct answer: 1. Water

Explanation: WATER IS AN IDEAL BIOLOGIC SOLVENTA water molecule is an irregular, slightly skewed tetrahedron with oxygen at its center.Ref: Harper's Biochemistry; 30th edition; Chapter 2; Water & pH